In myositis ossificans mature bone is seen:
1. At periphery
2. In center
3. Whole muscle mass
4. In the joint capsule

Correct answer: 1. At periphery

Explanation: In myositis ossificans, there is peripheral ossification and central lucency of the mass Osteosarcoma- growth in to out Myositis ossificans- growth out to in I.O.C is CT SCAN The mass is usually separated from underlying bone by at least a thin line